Contraindications of ACE inhibitors include
1. Unilateral renal artery stenosis
2. Bilateral Renal artery stenosis
3. Hypertensive emergencies
4. All the above

Correct answer: 2. Bilateral Renal artery stenosis

Explanation: ACE Inhibitors are contraindicated in B/L renal artery stenosisThey can be used if benefits are more in U/L stenosisThey are used in hypertensive emergencies eg: EnalaprilatRef: KD Tripathi 6th ed, Pg 484